A 30 yr old man reports 4hours after acquiring a clean wound without laceration He had recieved TT vaccination 10 years back what do you advice regarding tetanus prophylaxis
1. single dose of TT
2. full course of TT
3. 1 dose of TT AND TIG
4. No vaccination needed

Correct answer: 1. single dose of TT

Explanation: REF : ANANTHANARYANA MICROBIOLOGY